Earliest change in diabetic retinopathy is:
1. Hard exudate
2. Soft exudate
3. Dot haemorrhage
4. Microaneurysm

Correct answer: 4. Microaneurysm

Explanation: Ans. Microaneurysm